Which of the following agents may precipitate bronchospasm in patients with reactive airway disease?
1. Midazolam
2. Etomidate
3. Methohexital
4. Propofol

Correct answer: 3. Methohexital

Explanation: Methohexital is an ultra-short-acting barbiturate that provides sedation and amnesia for short, invasive procedures. Barbiturate administration may precipitate bronchospasm in patients with moderate to severe reactive airway disease, thus limiting its use in those patients. There is some evidence that ketamine may have a mild, transient bronchodilatory effect. Midazolam, etomidate, and propofol have no clinically significant effect on bronchial smooth muscle tone. Of the listed agents, only ketamine provides analgesia in addition to sedation.